A man with blunt injury abdomen after road side accident has a blood pressure of 100/80 mm Hg and a pulse rate of 120 bpm. Airway has been established and respiration has been stabilized. Next best step in management is
1. Immediate blood transfusion
2. Blood for cross matching & IV fluids
3. Ventilate the patient
4. Rush the patient to the OT

Correct answer: 2. Blood for cross matching & IV fluids

Explanation: Abdomen is a potential site for major blood loss. Rapid thready pulse and low blood pressure are the signs of hypovolemic shock so blood volume must be rapidly restored. Blood cross matching should be done and IV fluids must be given as a part of fluid resuscitation. This is the next step in primary survey of trauma care. Reference: Bailey and Love's Short Practice of Surgery, 26th edition, pg no: 304.